Higher incidence of which of the following is seen in the infant of a diabetic mother
1. Macrocytic anaemia
2. Hypercalcaemia
3. Hyperglycemia
4. Polycythemia

Correct answer: 4. Polycythemia

Explanation: Effects of diabetes on the Newborn Congenital abnormalities Macrosomia Hypoglycemia Hypocalcemia Apnea and bradycardia Hyaline membrane disease Traumatic delivery Polycythemia Hyperbilirubinemia Cardiomyopathy